All the following develops from wolffian duct except:
1. Eoophoron
2. Paraoooporon
3. Gartner duct
4. Bartholin duct

Correct answer: 4. Bartholin duct

Explanation: Ref: Grays Anatomy 40th Ed Pg 1305Explanation:Derivatives of Mesonephric duct (Wolffian duet)Kidney-collecting tubules.pelves & calycesUreterTrigone of the bladderProstatic uretheraEpididymisVas deferensSeminal vesicleEjaculatory duetPart of prostateAppendis of testisDerivative of Paramesonephric duet (Mullerian duct)UterusFallopian tubePart of vaginaNote:Scrotum develops from genital swellingTestis and ovary develops from genital ridge